All of the following amino acids forms acetyl CoA Pyruvate Dehydrogenase EXCEPT
1. Glycine
2. Hydroxyproline
3. Tyrosine
4. Alanine

Correct answer: 3. Tyrosine

Explanation: Six amino acids form pyruvate during catabolism. They are Glycine, Alanine, Serine, Threonine, Cysteine and Hydroxy-Proline (see fig).